Mechanism of action of aminophylline in bronchial asthma:
1. Decreasing phosphodiesterase activity
2. Direct action on smooth muscles
3. Releasing catecholamines
4. Stabilizing membrane of mast cells

Correct answer: 1. Decreasing phosphodiesterase activity

Explanation: Aminophylline and other methylxanthines act byInhibiting phosphodiesterase enzyme causing - cAMPBlocking adenosine receptorsReleasing Ca2+ from sarcoplasmic reticulum in cardiac and skeletal muscles.Use-Asthma, COPD, chronic bronchitis